34-year-old patient has moderately severe new onset asthma, and physician gave him a selective b2 agonist inhaler. All of the following signs can be seen in this patient after taking the drug EXCEPT?
1. Tachycardia
2. Skeletal muscle tremor
3. Hypoglycemia
4. Hypokalemia

Correct answer: 3. Hypoglycemia

Explanation: Tremor is a common b2 action, Beta 2 agonists increase the movement of K inside the cells, so these can result in hypokalemia. This action is the basis of use of salbutamol in treatment of hyperkalemia At high doses, selectivity is lost and therefore overdose of beta 2 agonists can result in tachycardia. Beta2 agonist leads to hyperglycemia due to action on the liver.